Moth eaten alopecia is seen with
1. Leprosy
2. Syphilis
3. Fungal infection
4. Cylindroma

Correct answer: 2. Syphilis